Protein requirement for a preterm infant is ___________
1. 0.5-1 gm/kg
2. 1.5-2 gm/kg
3. 2.5-3 gm/kg
4. 3.5-4 gm/kg

Correct answer: 4. 3.5-4 gm/kg

Explanation: This article reviews the requirementsfor protein and amino acids necessary to achieve normal growth and development of preterm infants.Protein requirements at 24-30 weeks' gestation are as high as 4 g/kg/day, decreasing to 2-3 g/kg/day by term. Reference: GHAI Essential pediatrics, 8th edition Nutrition Chap